Which of the following have multifactorial inheritance
1. Congenital heart disease
2. Cleft Lip
3. Hypertension
4. All of the above

Correct answer: 4. All of the above

Explanation: The above disease are due to combined effect of 2 or more mutant genes and enviroomental factors.